Daltroban is antagonist of -
1. Angiotensin
2. Nitric oxide
3. Thromboxane A2
4. Oxytocin

Correct answer: 3. Thromboxane A2

Explanation: Ans. is 'c' i.e., Thromboxane A2o Drug affecting TXA2 are: -i) Cox inhibitors like aspirin and other NS AIDS inhibit the synthesis of TXA2.ii) Daltroban and sultraban are TXA2 receptor antagonists.iii) Dazoxiben inhibit the enzyme thromboxane synthase.